Neoadjuvant chemotherapy is not used in ?
1. Ca thyroid
2. Ca breast
3. Ca Oesophagus
4. Ca lung

Correct answer: 1. Ca thyroid

Explanation: Ans is 'a' ie Ca Thyroid "At present, neoadjuvant therapy is used to treat locally advanced anal cancer, bladder cancer, breast cancer, gastroesophageal cancer, head and neck cancer, non small-cell lung cancer, rectal cancer, and osteogenic sarcoma among others." -Devita's Oncology The terminology: Adjuvant chemotherapy - Adjuvant therapy refers to additional treatment given after surgery where all detectable disease has been removed, but where there remains a statistical risk of relapse due to occult disease. The goal is eradication of micrometastatic disease, with the intent of preventing recurrances. Neoadjuvant chemotherapy - Neoadjuvant therapy, in contrast to adjuvant chemotherapy, is given before surgery. Neoadjuvant chemotherapy is used as the primary treatment in patients who present with localized cancer for which local therapies, such as surgery and/or radiation, exist but are less than completely effective. One of the major advantages of neoadjuvant therapy is to reduce the size of the primary tumor such that it allows the surgeon a better chance of complete resection while reducing the potential spread of micrometastatic spread. Moreover, in the case of laryngeal cancer, anal cancer, osteosarcoma, and bladder cancer, neoadjuvant chemotherapy may allow for preservation of vital organs such as the larynx, anal sphincter, limbs, and bladder, respectively.